The Most common fungus to cause meningitis is
1. Blastomyces dermatitides
2. Candida albicans
3. Cryptococcus neoformans
4. Coccidioides immitis

Correct answer: 3. Cryptococcus neoformans

Explanation: (C) Cryptococcus neoformans